Focal segmental glomerulosclerosis is characterized by?
1. IgA +/- IgG
2. IgM and C3
3. Granular IgG and C3
4. Linear IgG and C3

Correct answer: 2. IgM and C3

Explanation: Focal segmental glomerulosclerosis (FSGS) is characterized by sclerosis of some (but not all) glomeruli that involve only a part of each affected glomerulus. The affected glomeruli exhibit increased mesangial matrix, obliterated capillary lumina, deposition of hyaline (hyalinosis) and foamy (lipid-laden) macrophages. In affected glomeruli, immunofluorescence microscopy often reveals nonspecific trapping of immunoglobulins, usually IgM, and complement in the areas of hyalinosis. On electron microscopy, the podocytes exhibit effacement of foot processes, as in minimal-change disease. Ref: ROBBINS BASIC PATHOLOGY 10th ed Pg no: 556